All of the following malignancies metastasize except
1. Basal cell carcinoma
2. Adenocarcinoma
3. Squamous cell carcinoma
4. Melanoma

Correct answer: 1. Basal cell carcinoma